In couinaud's classification, segment IV of liver is
1. Caudate lobe
2. Quadrate lobe
3. Right lobe
4. Left lobe

Correct answer: 2. Quadrate lobe

Explanation: Segments nomenclature I Caudate lobe (sometimes subdivided into left and right parts called segment IX) II Left lateral superior segment III left lateral Inferior segment IV left medial segment or Quadrate lobe V Right anterior Inferior segment VI Right posterior Inferior segment VII Right posterior superior segment VIII Right anterior superior segment